All are true about scrub typhus, Except
1. Causative organism is O. Tsutsugamoshi
2. Vector is trombiculide mite
3. Adult female feeds on vertebrate hosts
4. Tetracycline is the drug of choice

Correct answer: 3. Adult female feeds on vertebrate hosts

Explanation: "Mite feeds on serum of warm blood animals only during there larval stage (chiggers) and adult mites feed only on plants"Scrub typhus :Caused by O. tsutsugamushiTransmitted by trombiculid mite which also shows transovarian spreadClinical features:Fever, headache, myalgia, cough and GI symptoms.Classic case includes an eschar, regional lymphadenopathy, and a maculopapular rash.Tetracycline is the drug of choice